The following are true about enfuvirtide except:
1. Administered by s.c route
2. Effective on HIV 1 and HIV 2 strains
3. Binds to HIV gp41
4. No cross resistance with other anti-retroviral drugs

Correct answer: 2. Effective on HIV 1 and HIV 2 strains

Explanation: Enfuvirtide It is an Entry (fusion) inhibitor. MOA: By binding to HIV-1 gp41 Active on HIV 1& not active against HIV-2. Cross resistance not seen with other classes of ARV drugs. Given s.c. twice daily. Used as add on drug for failed regimens. Adverse effects: Pain at injection site and it cause local nodules or cysts.